Appetite for nonnutritive substances is called ?
1. Pica
2. Apprepritant
3. Bulimia
4. Bolean

Correct answer: 1. Pica

Explanation: Ans. A. PicaPica is characterized by an appetite for substances that are largely non-nutritive, such as paper, clay, metal, chalk, soil, glass, or sand.